Frame shift mutation does not effect complete amino acid sequence if it occurs in multiple of ?
1. I
2. 2
3. 3
4. None

Correct answer: 3. 3

Explanation: Ans. is 'c' i.e., 3 Frame-shift mutation Frameshift mutationsQ occur due to insertion or deletionQ of one or two bases which causes change in the reading frame distal to the mutation.If I or 2 base pair change, whole reading frame is changed distal to the mutation, resulting into entirely different protein molecule.If 3 base pairs change, single amino acid is incorporated or deleted. The rest of amino acid sequence is same. This is because the genetic code is read in form of triplets of nucleotides (i.e. codons).If one or two base pairs from the code are removed or inserted, the genetic code will be misread from that change onwards because genetic code is not punctate. Therefore the amino acid sequence translated from the change onwards will be completely changed.However if the removal/insertion happens in multiple of three, rest of the reading from does not change and hence the amino acid sequence will not change.